Which of the following are bacterial infection of skin?
1. Pyoderma gangrenosum
2. Piedra
3. Impetigo contagiosa
4. Impetigo herpetiformis

Correct answer: 3. Impetigo contagiosa

Explanation: C i.e. Imetigo contagiosaPiedra is a fungal infection of hair. Pyoderma gangrenosum is a rare, serious ulcerative disorder that is often d/t serious underlying systemic disease eg ulcerative colitis, chron's disease, rheumatoid arthritis or myeloma etc. Impetigo herpetiformis is the synonym of generalized pustular psoriasis of pregnancy.